Formication and delusion of persecution occurs together in intoxication with:
1. Cocaine
2. Amphetamine
3. Cannabis
4. LSD

Correct answer: 1. Cocaine

Explanation: The complication of chronic cocaine use include acute anxiety reaction, uncontrolled compulsive behaviour, psychotic episodes with persecutory delusions and tactile hallucination (Formication), delirium and delusional disorder. In amphetamine abuse these two do not occur together: Formication (tactile hallucination) is seen in Chronic abuse. Paranoid ideation (delusion of persecution) occurs in Acute intoxication. Ref: A short Textbook of Psychiatry Niraj Ahuja 6th Ed Page 50, 51.